Porphyrins are synthesized mainly in
1. Spleen
2. Liver and spleen
3. Bonemarrow and spleen
4. Liver and Bone marrow

Correct answer: 4. Liver and Bone marrow

Explanation: D i.e. Liver & Bone marrow